A patient of 40 years male got a blow on the angle region of mandible and he is asymptomatic. The x-rays of that region shows a radiopaque line with very sharp undercut in the lower border of mandible which may be due to:
1. Sutural diastasis
2. Overlapping sign
3. Separation sign
4. Non union sign

Correct answer: 2. Overlapping sign